A small amount of atropine is added to diphenoxylate in order to:
1. Suppress associated vomiting of gastroenteritis
2. Augment the anti-motility action of diphenoxylate
3. Block side effects of diphenoxylate
4. Discourage overdose and abuse of diphenoxylate

Correct answer: 4. Discourage overdose and abuse of diphenoxylate

Explanation: Atropine is intentionally added to diphenoxylate in fixed dose combinations to intentionally produce the adverse effects. - If the person takes diphenoxylate in large doses to get the euphoria, atropine will produce adverse effects and the person will not abuse the drug.